True statement regarding 'at risk baby':
1. Birth weight less than 2.75 kg
2. Weight less than 70% of the expected weight
3. Birth order more than 3
4. Ist degree malnutrition

Correct answer: 2. Weight less than 70% of the expected weight

Explanation: Ans. B: Weight less than 70% of the expected weight The basic criteria for identifying 'at risk' babies include: Birth weight less than 2.5 kg. Twins Birth order 5 and more Artificial feeding Weight below 70% of the expected weight (II and III degrees of malnutrition) Failure to gain weight during three successive months Children with diarrhea, PEM Working mother/ one parent